70 years old lady underwent Right Radical mastectomy 10 years back, now presents with multiple subcutaneous nodules in right upper limb. Most probable diagnosis is
1. Lymphangiosarcome
2. Multiple Lipomas
3. Varicose veins
4. Mets

Correct answer: 1. Lymphangiosarcome

Explanation: Ans. (a) Lymphangiosarcoma(Ref Bailey and Love 27h edition page 879)Lymphangiosarcoma (Stewart Treves Syndrome)* It is a complication of Lymphedema which develops after mastectomy.* It takes the form of multiple nodules in upperlimb.* Differentiate from recurrent breast cancer.* Poor prognosis* Inter scapulothoracic (Forequarter Amputation) is rarely indicated